Commonest cause of carcinoma endometrium is:
1. Unopposed estrogen
2. Multiple sex partner
3. Early marriage
4. Early menarche

Correct answer: 1. Unopposed estrogen

Explanation: Unopposed estrogen